Crocodile skin apppearance is seen in-
1. High voltage burns
2. Electric shocks
3. Drowning
4. Mummifications

Correct answer: 1. High voltage burns

Explanation: High voltage current may cause burns over a large area of skin (around entery wound) → Crocodile skin lesion.